Which one of the following is not a socio-pathological factor associated with mental illness?
1. Emotional stress
2. Frustration
3. Endocrine diseases
4. Anxiety

Correct answer: 3. Endocrine diseases

Explanation: Causes of mental health disorders:
Organic conditions : Cerebral arteriosclerosis, neoplasma, metabolic diseases, endocrine diseases and chronic diseases (TB, leprosy, epilepsy)
Heredity : Schizophrenia
Socio-pathological : Worries, anxiety, emotional stress, tension, frustration, unhappy married life, broken homes, poverty, industrialization, urbanization, cruelty, rejection, neglct, etc.